Which is not a primary cutaneous disorder
1. Lichen planus
2. Psoriasis
3. Reiters disease
4. Bowen Disease

Correct answer: 3. Reiters disease

Explanation: Reiters disease